FALSE statement ragarding HIV-associated TB is:
1. Extrapulmonary TB is common among HIV-infected patients
2. The diagnosis of TB in HIV-infected patients may be difficult
3. Immune reconstitution inflammatory syndrome (IRIS) is more common among patients with advanced immunosuppression and extra pulmonary TB
4. Patients with both HIV infection and TB are more infectious than persons without HIV co-infection

Correct answer: 4. Patients with both HIV infection and TB are more infectious than persons without HIV co-infection

Explanation: The most infectious patients have cavitary pulmonary disease. Patients with sputum smear-negative and those with culture-negative pulmonary TB and extrapulmonary TB are essentially noninfectious. Because persons with both HIV infection and TB are less likely to have cavitations, and they are less likely to be smear positive they may be less infectious than persons without HIV co-infection. Ref: Harrisons principles of internal medicine, 18th edition, Page: 1342.